Cutting efficiency is best with which of the following materials?
1. Carbide
2. Stainless steel
3. Carbon steel
4. Cobalt-chromium alloys

Correct answer: 1. Carbide

Explanation: Hand instrument are made of stainless steel, carbon steel, or blades of tungsten carbide soldered to a steel handle. Carbon steel is able to keep a cutting edge better than stainless steel.
Carbide blades, however, are the most efficient in cutting, even though they are somewhat brittle.
Ref: Operative dentistry modern theory and practice Marzouk page 59